All of the following act through GABA except -
1. Phenobarbitone
2. Carbamazepene
3. Zopiclone
4. Muscimol

Correct answer: 2. Carbamazepene

Explanation: Ans. is 'b' i.e., Carbamazepene Gaba receptorso There are two types of GABA receptorsGABAa receptor - Intrinsic ion channel -increases Cl' conduction.GABAb receptor - G protein coupled receptor - hyperpolarizes neurones by increasing K+ conductance and altering Ca+2 flux.